"Brush-fire" patternis seen in ?
1. CMV retinitis
2. Toxoplasmosis
3. Congenital rubella
4. Syphilis

Correct answer: 1. CMV retinitis

Explanation: Ans. is 'a' i.e., CMV retinitis IMPORTANT FACTS Salt and Pepperfundus Congenital rubella, Congenital syphilis,Congenital leber amaurosis, Mayous Batten disease, Thioridazine toxicity Crumbled chees and ketchup appearance (sauce and cheese appearance)Pizza pie appearanceBrush fire appearance CMV retinitis Satellite lesion Head light in the fog appearance Toxoplasmosis Hemorrhagic retinal necrosis HSV, toxoplasmosis, Bechet's retinitis, CRVO or branch vein occlusion Most common ocular infection in AIDS CMV Most common cause of chorioretinitis in AIDS Bull's eye retinopathy (maculopathy) Chloroquine, Phenothiazine, Bardet-Biedle syndrome, Batten disease, inverse retinitis, pigmentosa, Stargardt disease, Dystrophies, Chronic macular hole. Roth spots Bacterial endocarditis, Puerperal septicemia Snowball opacities in itreous Pars planitis, Candidiasis, Sarcoidosis, Lyme disease